To diagnose anemia in age group 6 month to 6 years, level of hemoglobin should be?
1. Hb 10g/dl
2. Hb 11g/dl
3. Hb 12g/dl
4. Hb 13g/dl

Correct answer: 2. Hb 11g/dl

Explanation: Ans. (b) Hb llg/dlRef: OP Ghai 8th ed /298Hemoglobin levels below llg/dl in children from 6 months to 6 years and below 12 g/dl in older children is suggestive of anemia.Severe anemia: <5g/dlModerate anemia: 5-10g/dl